Large and most important branch of the posterior tibial artery is
1. Circumflex fibular artery
2. Peroneal artery
3. Medial plantar artery
4. Lateral plantar artery

Correct answer: 2. Peroneal artery

Explanation: Peroneal artery is the largest branch of the posterior tibial artery. It supplies the posterior and lateral compartments of the legOther branches of the posterior tibial artery are:circumflex fibular arterymedial plantar arterylateral plantar arteryRef: Vishram Singh; Volume II; 2nd edition; Page no: 416